Deep Brain Stimulation of which part of brain has been shown to reduce frequency of symptoms in Parkinsonism-
1. Striatus
2. Globus Pallidus Externus
3. Subthalamic nucleus
4. Putamen

Correct answer: 3. Subthalamic nucleus